Sympathetic stimulation causes all except
1. Positive chronotropy
2. Erection
3. Bronchodilatation
4. Vasoconstriction

Correct answer: 2. Erection

Explanation: Erection is due tovasodilatation which is a parasympathetic activity Ref: guyton and hall textbook of medical physiology 12 edition page number: 651,652,653